Symptom of opioid withdrawal is:
1. Piloerection
2. Dry Skin
3. Bradycardia
4. Pupillary construction

Correct answer: 1. Piloerection

Explanation: Ans. A. PiloerectionOpioid Withdrawal* With long-term use of opioids down regulation of dynorphins, endogenous endorphins and opioid receptors takes place.* Abrupt cessation of opioid use does not allow time for upregulation of receptors It results in elevated neuronal firing and the opioid withdrawal syndrome.* Opioid withdrawal usually starts with-- Diaphoresis- Yawning- Feelings of anxiety- Lacrimation- Rhinorrhea and diffuses myalgias.It then progresses to -- Nausea- Profuse vomiting- Diarrhea, Piloerection, mydriasis and abdominal dehydration.* Opioid withdrawal reactions are not life-threatening and rarely fatal but they are very uncomfortable.* Vomiting and aspiration of gastric contents causes pneumonitis.